Most common site of eosinophilic granuloma ?
1. Radius
2. Femur
3. Skull
4. Lumbar vertebrae

Correct answer: 3. Skull

Explanation: Ans. is 'c' i.e., Skull